Very low birth weight child weighs:
1. 1000 gm
2. < 1500gm
3. < 2500 gm
4. < 750 gm

Correct answer: 2. < 1500gm

Explanation: Ans. (b) < 1500 gmRef: OP Ghai 8th ed./125* Normal birth weight - 2800 gm- 3000gm* Low birth weight(LBW) - < 2500 gm* Very low birth weight(VLBW) - < 1500 gm* Extremely low birth weight (ELBW) - < 1000 gm.